ECG of a patient shows >3 consecutive premature ventricular contractions (PVC) with a heart rate of less than 100 bpm. The diagnosis is?
1. Sustained VT
2. Non-sustained VT
3. Accelerated idioventricular rhythm
4. Ventricular flutter

Correct answer: 3. Accelerated idioventricular rhythm

Explanation: > 3 consecutive premature ventricular contraction & HR is <100 bpm - AIVR (Accelerated Idioventricular Rhythm) Accelerated Idioventricular Rhythm/Slow ventricular tachycardia It is mc Reperfusion Arrhythmia Occurs during fibrinolytic therapy at the time of reperfusion. If H.R > 100/min - V. Tachycardia If H.R <100/min- AIVR